Which of the following is associated with sun exposure?
1. Actinic keratosis
2. Seborrhoeic keratosis
3. Sebaceous cell carcinoma
4. Syringoma

Correct answer: 1. Actinic keratosis

Explanation: Ans. a. Actinic keratosis (Ref: Roxburgh 17/e p209-213; Fitzpatrick 7/e p1007-1015; Rooks 8/e p52.30-52.32)Actinic keratosis or solar keratosis is a reflection of abnormal skin cell development due to exposure to ultraviolet radiation.Actinic/Solar KeratosisPremalignant lesions occurring on the sun exposed part of the body in persons of fair complexion.It is raised, pink or grey, scaling or warty hyperkeratotic plaque or papule0.2% transform to squamous cell carcinoma.Treatment:Liquid nitrogen application is therapy of choice.5-FU for multiple superficial actinic keratosis.Imiquimod can also be used.